In rectus sheath which branch of aorta make anastmosis with superior epigastric artery
1. Subclavian artery
2. External iliac artery
3. Internal iliac artery
4. External carotid Art

Correct answer: 2. External iliac artery

Explanation: The external iliac arteries are two major arteries which bifurcate off the common iliac arteries anterior to the sacroiliac joint of the pelvis. They proceed anterior and inferior along the medial border of the psoas major muscles. They exit the pelvic girdle posterior and inferior to the inguinal ligament about one third laterally from the insertion point of the inguinal ligament on the pubic tubercle at which point they are referred to as the femoral arteries. The external iliac artery is usually the artery used to attach the renal artery to the recipient of a kidney transplant. Ref - BDC vol2 6e pg339 , britannica.com